Black water fever is a special manifestation of malaria caused by;
1. P. falciparum
2. P. malariae
3. P. ovale
4. P. vivax

Correct answer: 1. P. falciparum

Explanation: Ans. A. P. falciparumBlackwater fever (BWF) is a severe clinical syndrome, characterized by intravascular hemolysis, hemoglobinuria (with passage of black urine), and acute renal failure caused by a variety of factors in patients with P. falciparum infestation.